Action of alpha 2 and b1 receptors on adenyl cyclase
1. Stimulate; Stimulate
2. Stimulate; Inhibit
3. Inhibit; Inhibit
4. Inhibit; Stimulate

Correct answer: 4. Inhibit; Stimulate

Explanation: Beta receptors are GsPCR -so increase adenyl cyclase activity.alpha 1 -g1 pcr,alpha 2 GiPCR-decrease adenyl cyclase activity Ref: KD Tripathi 8th ed.